Which of the following is a naturally occurring radioactive substance in the body in small quantities?
1. Radium 226
2. Bismuth
3. Iodine 131
4. Potassium 40

Correct answer: 4. Potassium 40

Explanation: Ans. is 'd' i.e., Potassium